Schizophrenia is characterized by:
1. Delusion and hallucination
2. Tremor and delusion
3. Obsession and delusion
4. Autonomic disturbance

Correct answer: 1. Delusion and hallucination

Explanation: Ans. Delusion and hallucination